All of the following are required more during lactation as compared to pregnancy, except –
1. Iron
2. Vitamin A
3. Niacin
4. Energy

Correct answer: 1. Iron